Which of the following is false about phyllodes tumor?
1. Always malignant
2. Grows rapidly
3. Unilateral
4. Excision is the treatment

Correct answer: 1. Always malignant

Explanation: Phyllodes tumor is usually benign.
It is unilateral and grows rapidly.
Lymph nodes are not involved.